Which of the following liver tumor is likely to develop in females taking oral contraceptives?
1. Hepatoma
2. Lymphoma
3. Focal nodular hyperplasia
4. Hepatic adenoma

Correct answer: 4. Hepatic adenoma

Explanation: Ans. d. Hepatic adenomaHEPATIC ADENOMA# Hepatocellular adenoma is benign tumor of hepatocytes.# It is most frequent hepatic tumor in young women after use of oral contraceptive steroids.# It is usually single.# Predisposing factors include:- OC pills,anabolic steroids, - pregnancy,DM, &Von-Gierke type la.# Differential diagnosis:- Fibrolamellar HCC (large lobulated mass with scar and septae)- Focal nodular hyperplasia (homogeneously enhancing mass and central scar on delayed CECT).- Hypervascular mets which are iso/hypodense on delayed phase.# Treatment:- <6 cm --conservative; > 6cm -->Surgery & avoid pregnancy due to risk of rupture.- By 2nd or 3rd decade of life most patients with glycogen storage disease type I develop hepatic adenomas that can cause hemorrhage spontaneously & in some cases, become malignant .